The difference between skeletal and smooth muscle contraction and relaxation is/area) Troponin (+ve)b) Myosin light chain kinasec) Ca2+d) Actine) Myosin
1. ac
2. a
3. ab
4. bc

Correct answer: 3. ab

Explanation: Troponin is absent in case of smooth muscles but present in skeletal muscles.
 
Myosin light chain kinase is involved in case of smooth muscle contraction, but not in skeletal muscles.